The parvocellular pathway from lateral geniculate nucleus to visual cortex is most sensitive for the stimulus of:
1. Color contrast
2. Luminance contrast
3. Temporal frequency
4. Saccadic eye movements

Correct answer: 1. Color contrast

Explanation: Parvocellular pathway is for color vision, texture, shape, fine detail and Magnocellular pathway is for detection of movement, depth, flickers. Ref: Ganong's Review of Medical Physiology, 21st Edition, Page 163